Progesterone production in the ovary is primarily by:
1. Stroma
2. Corpora albicans
3. Corpora lutea
4. Mature follicles

Correct answer: 3. Corpora lutea